Which of the following genes is associated with Xp11 translocation carcinoma variant of renal cell carcinoma?
1. VHL
2. TFE3
3. MET
4. TSC1

Correct answer: 2. TFE3

Explanation: Xp11 translocation Carcinoma: It is a rare genetically distinct subtype of renal cell carcinoma. More common in children. TFE3 gene located at Xp11.2 locus is involved The neoplastic cells consist of clear cytoplasm with a papillary architecture. VHL is associated with clear cell RCC. MET is associated with hereditary papillary RCC. TSC1 is associated with renal angiomyolipoma.